Cri du chat syndrome involve:
1. Chromosome 13
2. Chromosome 18
3. Chromosome 22
4. Chromosome 5

Correct answer: 4. Chromosome 5

Explanation: Cri du chat (named after cry of infant like that of a cat) syndrome occurs due to deletion of short arm of chromosome 5.
Mohan H. Textbook of pathology. Jaypee Brothers Medical Publishers; 2015. Edition 7. Page 254